Which of the following flap is most commonly used in breast reconstruction
1. Serratus anterior
2. TRAM
3. Flap from arm
4. Delto pectoral flap

Correct answer: 2. TRAM

Explanation: Transverse rectus abdominis myocutaneous flap(TRAM) is used. TRAM flap is based on superior epigastric artery. Ipsilateral or contralateral flap can be used. It gives the bulk needed for reconstruction and so implant is not needed. Donor site morbidity and fat necrosis can occur. LD flap( latissimus dorsi musculocutaneous flap) can also be used. It is based on subscapular artery. Easy to perform unlike TRAM flap. Reference: SRB's Manual of Surgery, 6th Edition page no = 553.